Not true about Anatomical snuffbox among the following is
1. The lateral border is formed by the tendons of the abductor pollicis Longus and extensor pollicis brevis
2. The medial border is formed by the tendon of the extensor pollicis longus
3. The floor is formed by the scaphoid and trapezoid and the tendons of the extensor carpiradialis longus and extensor carpi radialis brevis
4. The radial artery passes obliquely through the anatomical snuffbox

Correct answer: 3. The floor is formed by the scaphoid and trapezoid and the tendons of the extensor carpiradialis longus and extensor carpi radialis brevis

Explanation: The floor of anatomocal snuffbox is formed by the scaphoid and trapezium and the tendons of the extensor carpi radialis longus and extensor carpi radialis brevis.